Most powerful BP regulator in normal arterial pressure range ?
1. Baroreceptors
2. Carotid body (chemoreceptor)
3. CNS ischemia
4. All are same

Correct answer: 1. Baroreceptors

Explanation: Ans. is 'a' i.e., BaroreceptorsBaroreceptors are the main regulators when BP is between 70-150 mmHg.Regulation of blood pressureBlood pressure is regulated by following mechanisms.A) Short term regulationB) Long term regulationA) Short term regulationThese mechanisms act immediately and correct the blood pressure quickly.These are :-Baroreceptor reflex : Works during BP range 70-150 mmHg.Chemoreceptor reflex : Works when BP below 80 mmHg.CNS ischemic response : This the only hope of survival when BP is below 40 mmHg.Hormonal release : These are ?Antidiuretic hormone (ADH) : Increases water reabsorption in kidney.Angiotensin II : Causes vasoconstriction.B) Long term regulationThis is the mechanism which takes long time for regulation.This mechanism is present in kidneys.This mechanism adjusts the BP by adjusting valume of extracellular fluid and blood.These mechanism are -Pressure diuresis.Pressure natreuresis.Renin-angiotensin-aldosterone system.